Best graft for femora-popliteal bypass is
1. Autologus vein
2. Dacron
3. Teflon
4. PTF

Correct answer: 1. Autologus vein

Explanation: Best graft for femoro popliteal bypass is autologous vein, long saphenous from same leg, if not available, from opposite limb, or else short saphenous vein. If no vein is available, a prosthetic, polytetrafluoroethylene can be used. Best is autologous vein. Reference: Bailey and love, 27th edition, page 949